In measuring Vickers hardness no. which of the following is used:
1. Spherical indenter
2. Steel ball indentation
3. Rhomboid shaped indenter
4. 136-degree diamond pyramid

Correct answer: 4. 136-degree diamond pyramid